Hypertension with androgenisation of a female child is a feature of congenital adrenal hyperplasia due to deficiency of-
1. C-21 hydroxylase
2. C-11 hydroxylase
3. C-17 hydroxylase
4. Desmolaie

Correct answer: 2. C-11 hydroxylase

Explanation: with hypertensive form of CAH due to CYP11B1 deficiency, 11- delay corticosterone and 11- deoxycortisol accumulate. Diagnosis confirmed by demonstrating increased levels of 11- deoxycortisol in blood ( Harrison 17 pg 2267)